Which of the following is a debranching enzyme:
1. Glycogen synthetase
2. Glucose-6-phosphatase
3. Amylo alpha-1,6-glucosidase
4. Amylo (1,4)-(1,6) trans glycosylase

Correct answer: 3. Amylo alpha-1,6-glucosidase

Explanation: Debranching enzyme is a Bifunctional enzyme with two activities Glucan transferase Amylo a-1,6-glucosidase breaks the alpha (1-6) glycosidic bond present at the branch point of glycogen in glycogen breakdown. Other Options: Glycogen synthetase transfer glucose from UDP-glucose to glycogenin. Glycogen branching enzyme (also known as amylo-a(1,4)-a(1,6) trans glycosylase) make glycogen branches by transferring the end of the chain onto an earlier part a-1,6 glycosidic bond. Glucose-6-phosphatase dephosphorylates glucose-6-phosphate to free glucose.